Which index does not measure pain -
1. PQLI
2. MPQ (McGill pain questionnaire)
3. VAS (Visual analog scale)
4. FLACC (Face legs arms cry consolability scale)

Correct answer: 1. PQLI

Explanation: (A) (PQLI) (16-17 Park22nd)PQL1 - Physical quality of the indexList of pain measurement scales* Alder Hey Triage Pain Score* Behavioral Pain Scale (BPS)* Brief Pain Inventory (BPI)* Checklist of Nonverbal Pain indicators (CNPI)* Critical-Care Pain Observation Tool (CPOT)* COMFORT Scale* Dallas Pain Questionnaire* Dolorimeter Pain Index (DPI)* Faces Pain Scale - Revised (FPS-R)* Face Legs Activity Cry Consolabilitv scale* Lequesne algofunctional index: a composite measure of pain and disability, with separate self-reportquestionnaires for hip and knee OA (osteoarthritis)* Original index (1987)* 1991 revision* 1997 revision* MsGill Pain Questionnaire (MPQ)* Descriptor differential Scale (DDS)* Neck Pain and Disability Scale - NPAD* Numerical 11 point box (BS-11)* Numeric Rating Scale (NRS-11)* OSWESTRY Index* Roland-Morris Back Pain Questionnaire* Wong-Baker FACES Pain Rating Scale* Visual analog scale (VAS)Specialized tests:* Disease-Specific Pain Scale: DSPI = (#X .Y). 100 where X is the highest pain level on a 0 - 10 scale and Y is the percentage of this pain level in the group. The DSPI is different from the simple numeric 0-10 scale in that it is measured for a group of patients with a specific diagnosis whereas the numeric 0-10 pain scale is administered individually.* Pediatric Pain Questionnaire (PPQ) for measuring pain in children* Premature Infant Pain Profile (PIPP) for measuring pain in premature infants* Schmidt Sting Pain Index and Starr sting pain scale both for insect strings* Colorado Behavioral Numerical Pain Scale (for sedated patients)* AUSCAN: Disease-Specific, to assess hand osteoarthritis outcomes.* WOMAC: Disease-Specific, to assess knee osteoarthritis outcomes.* Osteoarthritis Research Society intemational-Outcome Measures in Rhematoid Arthritis Clinical Trials (OARSI-OMERACT) initiative, New OA Pain Measure: Disease-Specific, Osteoarthritis PainThe Numeric Rating Scale (NRS-11) is an 11-point scale for patient self-reporting of pain. It is for adults and children 10 years old or older.RatingPain Level0No Pain1-3Mild Pain (nagging, annoying, interfering little with ADLs)4-6 7-10Severe Pain (disabling; unable to perform ADLsExamples Commonly Used of pain scales Self-reportObservationalPhysiologicalInfant Premature Infant Pain Profile;Neonatal /Infant Pain Scale ChildFaces Pain Scale Revised, Wong-Baker FACES Pain Rating Scale;Coloured Analogue Scale.FLACC (Face Legs Arms CryConsolability Scale); CHEOPS(Children's Hospital of EasternOntario Pain Scale)ComfortAdultVisual Analog Scale (VAS); VerbalNumerical Rating Scale (VNRS);Verbal Descriptor Scale (VDS); BriefPain Inventory Human Development Index (HDI)Physical Quality of Life Index (PQLI)Indicators:* Longevity (life expectancy at birth)* Knowledge (adult literature rate and mean years of schooling).* Income (real GDP per capita in purchasing power parity in US dollars).Indicators:* Infant mortality* Life expectancy at age 1 year* Literacy* HDI value ranges between 0 to 1* HDI > 0.8 = High (Developed countries 0.5-0.799 Medium (Developing Countries) & < 0.5 = Low human developed (under developed country)* India comes in the medium human developed category with HDI = 0.612 (Rank - 134)* PQLI is also scaled 0 to 100(0=absolutely defined "worst" performance and 100=absolutely "best" performance.* PQLI does not take per capita GNP into consideration (Sri Lanka and Kerala state in India have low per capita income with high PQLI)* The ultimate objective is to attain a PQLI of 100* PQLI of India is 65* Sullivan's Index* Expectation of life free of disability**** Burden of disease is best detected bv - DALY (Disability adjusted life year)**